Pocks on chick embryo are formed by all except
1. Variola
2. Vaccinia
3. Chickenpox
4. Cowpox

Correct answer: 3. Chickenpox

Explanation: Ans. is 'c' i.e., Chicken Pox